High - resolution CT of the lung is a specialized CT technique for greater detail of lung parenchyma and it utilizes:
1. Special lung filters
2. Thick collimation
3. Bone algorithm for image reconstruction
4. Large filed of view

Correct answer: 3. Bone algorithm for image reconstruction

Explanation: C i.e. Bone - algorithm for image reconstruction